Fixative used in PAP smear:
1. 55% ethyl alcohol
2. 95% formalin
3. 95% ethyl alcohol
4. Normal saline

Correct answer: 3. 95% ethyl alcohol

Explanation: Pap smear Screening test Done by Ayre's spatula Sensitivity of pap smear is 47 to 62 % If cytobrush used - | sensitivity upto 90% Site Transformation zone (squamocolumnar junction) Endometrium - is columnar Vagina & cervix - is squamous Fixative used in pap Smear - 95 % ethyl alcohol. Technique To sample the ectocervix, a wooden spatula is placed against the external as and rotated 360 degrees. To sample the endocervix, a cytobrush is inserted into the external os and rotated. The sample obtained by the spatula and cytobrush is spread on a glass slide and immediately placed in a fixative, usually 95% ethanol, fixed for 30 minutes, and then stained with Papanicolaou stain. The sample is stained using the Papanicolaou technique in which tinctorial dyes and acids are selectively retained by cells.